Biuret test is confirmatory test for:
1. Protein
2. Fat
3. Carbohydrate
4. None of the above

Correct answer: 1. Protein